Which one of the following laboratory tests differentiates leukemoid reaction from chronic myeloid leukemia?
1. LAP (leukocyte alkaline phosphatase)
2. LCA (leukocyte common antigen)
3. MPO (myelo-peroxidase)
4. TRAP (tarate resistant alkaline phosphatase)

Correct answer: 1. LAP (leukocyte alkaline phosphatase)

Explanation: Leucocyte alkaline phosphate score in the cytoplasm of mature neutrophils in leukamoid reaction is characteristically high & ia very useful to distinguish it from CML. Leukaemoid reaction is defined as reactive excessive leucocytosis in response to infections,intoxication ,malignant disease ,& in severe hemmorhage & hemolysis.So mature neutrophils will be more resulting in elevated LAP.But in CML,mature neutrophils will be reduced resulting in low LAP score.

Reference :Harsh mohan textbook of pathology sixth edition pg no 353.